All of the following diseases are transmitted by mosquito vectors except-
1. West Niler fever
2. Brugian filariasis
3. Babesiosis
4. Rift valley fever

Correct answer: 3. Babesiosis

Explanation: West Nile fever- Culex mosquito Brugian filariasis- Mansonian mosquito Babaesiosis- hard ticks Riftvalley fever- Aedes mosquito. Park's Textbook of Preventive and Social Medicine, 25th Edition, Pg 832